Common site of hematopoiesis in fetus is
1. Liver
2. Spleen
3. Bone marrow
4. Gut

Correct answer: 1. Liver

Explanation: Development of the Hematopoietic System. Primitive hematopoiesis is followed by definitive hematopoiesis in mice and humans. Embryonic hematopoiesis begins in the yolk sac and changes to definitive hematopoiesis in the fetal liver. The bone marrow becomes the principal site of hematopoiesis late in gestation Ref Robbins 9/e pg 138